Amoebic liver abscess can be diagnosed by demonstrating -
1. Cysts in the sterile pus
2. Trophozoites in the pus
3. Cysts in the intestine
4. Trophozoites in the feces

Correct answer: 2. Trophozoites in the pus

Explanation: Trophozoites may be demonstrated in the liver biopsy from cases of amoebic hepatitis. Diagnostic liver aspiration can be performed if liver aspiration can be performed if liver abscess is present.Trophozoite can be demonstrated in the aspirate by wet preparation.Aspirations from the center of liver abscess may not show trophozoites while aspirate from the margin of the abscess may show the trophozoites (refer pgno:19 baveja 3 rd edition)